Which one of the following is not a cause of secondary postpartum hemorrhage?
1. Placenta previa
2. Retained bits of placenta
3. von Willebrand disease
4. Placental polyp

Correct answer: 1. Placenta previa

Explanation: - Placenta previa causes APH Secondary postpartum hemorrhage is bleeding after 24 hours to 12 weeks after delivery. Causes of PPH : Uterine atonicity ( most common cause of primary PPH) Injury to any part of genital tract Coagulopathy (von Willebrand's disease) Retained tissues - (most common cause of secondary PPH ) Usually, retained products undergo necrosis with fibrin deposition and may eventually form a so-called placental polyp.